Most sensitive tissue to Radiaton is
1. Liver
2. Gonads
3. Spleen
4. Skin

Correct answer: 2. Gonads

Explanation: B i.e. Gonads